Caries tetrad was given by:
1. Keyes
2. Newbrun
3. Hyatt
4. Bowen

Correct answer: 2. Newbrun

Explanation: Caries triad was given by Keyes and caries tetrad was given by Newbrun.